Ventral pancreatic duct give rise to ?
1. Body
2. Tail
3. Neck
4. Uncinate process

Correct answer: 4. Uncinate process

Explanation: Ans. is 'd' i.e., Uncinate process Development of pancreasPancreas is developed from the two pancreatic buds.i) Dorsal pancreatic bud :- It is larger and most of the pancreas is derived from it i.e. most of the head, and whole neck, body & tail.ii) Ventral pancreatic bud :- It is smaller and forms lower part of the head of pancreas including uncinate process.During 7th week of development, the ventral and dorsal pancreatic buds fuse to form a single pancreatic mass.After the fusion of ventral and dorsal pancreatic buds, their ducts develop cross communications. Final duct system is formed as below ?i) Main pancreatic duct (Duct of wirsung) is formed by the duct of ventral bud, distal part of duct of dorsal bud and an oblique communication between the two. The main pancreatic duct join the bile duct to form hepatopancreatic ampulla that enters th 2nd part of duodenum at major duodenal papilla.ii) Accessory pancreatic duct is formed by the proximal part of the duct of dorsal bud. It opens into 2nd part of duodenum at minor duodenal papilla, 2 cm proximal (cranial) to major duodenal papilla.Anomalies of pancreatic development may be:1. Annular pancreas :- Two components of the ventral bud fail to fuse and grow in oppsite direction arround the duodenum and meet the dorsal pancreatic duct.2. Pancreatic divisum (divided pancreas) :- Ventral and dorsal buds fail to fuse with each other. It is the most common congenital anomaly of pancreas.3. Inversion of pancreatic duct :- The main pancreatic duct is formed by the duct of dorsal bud, i.e. accessory duct is larger than the main duct and the main drainage of pancreas is through the minor duodenal papilla.4. Accessory pancreatic tissue :- May be found in ?i) Wall of stomach, duodenum, jejunum or ileum.ii) Meckel's diverticulum.